All of the following are causes of hypercalcemia except-
1. Sacroidosis
2. Cancer bronchus
3. Hypothyroidism
4. Lithium toxicity

Correct answer: 3. Hypothyroidism